Most common cause of mediastinitis is -
1. Tracheal rupture
2. Esophageal rupture
3. Drugs
4. Idiopathic

Correct answer: 2. Esophageal rupture